Soft contact lenses are made of
1. Polymethyl methacrylate
2. Hydroxymethyl methacrylate
3. Silicone
4. Glass

Correct answer: 2. Hydroxymethyl methacrylate

Explanation: Soft contact lenses: Soft contact lenses are made up of HEMA (hydroxyethylmethacrylate) which is hydrophilic. Advantages : Being soft and oxygen permeable, they are most comfortable and so well tolerated. Disadvantages : Problems of proteinaceous deposits, getting cracked, limited life, inferior optical quality, more chances of corneal infections, and inability to correct astigmatism of more than one dioptre. Reference :- A K KHURANA; page:-564